Threonine is metabolised to:
1. Lysine
2. Arginine
3. Ornithine
4. Glycine

Correct answer: 4. Glycine

Explanation: Threonine aldolase cleaves threonine to acetaldehyde and glycine. Oxidation of acetaldehyde to acetate is followed by formation of acetyl-CoA. Ref: Harper 28th edition, chapter 29.